Which of the following materials for implants will evoke least inflammatory tissue response -
1. Polypropylene
2. Bovine collagen
3. Polygiactin
4. Cotton

Correct answer: 1. Polypropylene